Ceramics fired to metals are processed by
1. Heat pressing
2. Machining
3. Sintering
4. Slip casting

Correct answer: 3. Sintering